Complications of laparoscopy include perforation of the following except:
1. Gall bladder
2. Urinary bladder
3. Uterus
4. Inferior epigastric artery

Correct answer: 1. Gall bladder

Explanation: Ans. A. Gall bladdera. Trocars placed in the iliac fossae can perforate the inferior epigastric artery while one placed centrally can perforate the bladder.b. The uterus can be perforated by a sound placed in the uterus to move it around.